The soft tissue limits the distraction when the rate of distraction is greater than?
1. 0.5 mm to 1.0 mm per day
2. 1.0 mm to 1.5 mm per day
3. 1.5 mm to 2.0 mm per day
4. 2.0 mm to 2.5 mm per day

Correct answer: 3. 1.5 mm to 2.0 mm per day